All of the following effects are produced by inhibitors of prostaglandin synthesis EXCEPT :
1. Prolongation of bleeding time
2. Prolongation of prothrombin time
3. Prolongation of labour
4. Gastric mucosal damage

Correct answer: 2. Prolongation of prothrombin time